V. cholera true is -
1. Very resistant to alkaline pH
2. Nutritionally fastidious
3. Best growth at 24°C
4. Rod shaped bacilli

Correct answer: 1. Very resistant to alkaline pH